All of the following drugs causes hemolysis in G-6 PD deficiency except:
1. Primaquine
2. Nitrofurantin
3. Sulfonamide
4. Erythromycin

Correct answer: 4. Erythromycin

Explanation: Ans. D: Erythromycin In G-6-PD deficiency, hemolysis occurs after exposure to drugs or to other substances that produce peroxide and cause oxidation of Hb and RBC membranes. These drugs and substances include Primaquine Salicylates Sulfonamides Nitrofurans Phenacetin Naphthalene Dapsone Phenazopyridine Nalidixic acid and, in some whites, a beans.